Carcinoid syndrome is due to:
1. Adrenaline
2. Noradrenaline
3. Serotonin
4. Dopamine

Correct answer: 3. Serotonin

Explanation: Ans. C i.e. Serotonin Carcinoid syndrome It refers to the array of symptoms that occur secondary to carcinoid tumors. The syndrome includes flushing and diarrhea, and, less frequently,heart failure and bronchoconstriction. It is caused by endogenous secretion of mainly serotonin and kallikrein.